A 70 year old patient with benign prostatic hyperplasia underwent transuretheral resection of prostate under spinal anaesthesia. One hour later, he developed vomiting and altered sensorium. The most probable cause is ?
1. Over dosage of spinal anaesthetic agent
2. Rupture of bladder
3. Hyperkalemia
4. Water intoxication

Correct answer: 4. Water intoxication

Explanation: Ans. is 'd' i.e., Water intoxication